Which of the following organisms would most likely be isolated from the vagina of a normal 5 year old girl?
1. Candida
2. Lactobacillus
3. Neisseria
4. Staphylococcus

Correct answer: 4. Staphylococcus

Explanation: The vagina of prepubertal girls and postmenopausal women is colonized by colonic and skin bacteria, including Staphylococcus epidermidis, which is normally found on the skin. The vagina of women of childbearing age tends to be colonized by Lactobacillus species, yeasts such as Candida, and Streptococcus species. The presence of Neisseria, such as N. gonorrhoeae (the cause of gonorrhea), in the vagina of a 5 year-old strongly suggests sexual abuse. Ref: Levinson W. (2012). Chapter 15. Gram-Positive Cocci. In W. Levinson (Ed),Review of Medical Microbiology & Immunology, 12e.